Type of fibroadenosis most likely to undergo malignant change is -
1. Adenosis
2. Epitheliosis
3. Sclerosing adenosis
4. Cystic

Correct answer: 2. Epitheliosis